All are true about pyogenic meningitis except ?
1. Increased CSF protein
2. Pleocytosis
3. Markedly decreased CSF glucose
4. Decreased CSF C- reactive protein

Correct answer: 4. Decreased CSF C- reactive protein

Explanation: Ans. is 'd' i.e., Decreased CSF-C reactive protein Feature Normal Acute Pyogenic Acute Lymphocytic Chronic (Tuberculous) (Bacterial) meningitis (Viral Meningitis) Meningitis 1. Naked eye appearance Clear and colourless Cloudy or frankly purulent Clear or slightly turbid Clear or slightly turbid, forms fibrin coagulum on standing 2. CSF pressure 60-150 mm Elevated Elevated Elevated (above 180 mm water) (above 250 mm water) (above 300 mm water) 3. Cells 0-4 1000-100000 10-100 100-1000 lymphocytes/ml Neutrophils/ I Mononuclears/ I Mononuclears/ I 5. Glucose 50-80 mg/dl Markedly reduced Normal Reduced 6. Bacteriology Sterile Causative Sterile Tubercle bacilli Organisms present Present 7. Protein Elevated Elevated Elevated 8. Chloride Reduced Reduced Markedly reduced o CSF C-reactive protein is increased in Bacterial meningitis - Harrison